Pramipexole is
1. Dopamine agonist
2. Antimalarial
3. MAO-inhibitor
4. Dopamine antagonist

Correct answer: 1. Dopamine agonist

Explanation: (A) Dopamine agonist # Dopamine agonist: Mirapex is a dopamine agonist used for Parkinson's disease.> Pramipexole Side Effects: Drowsiness and the possibility of suddenly falling asleep during daily activities, which could result in an accident while driving.> Most common MIRAPEX side effects are nausea, sleeplessness, constipation, involuntary movement, dizziness upon standing, and hallucinations.